There is an increased incidence of emergence delirium with ketamine in all of the following condition except:-
1. Age >15 years
2. Female gender
3. Dose of ketamine < 1mg/kg
4. A history of personality disorders

Correct answer: 3. Dose of ketamine < 1mg/kg

Explanation: High dose > 2 mg / kg is associated with postoperative delirium. predisposing factors for postoperative delerium seen with intravenous ketamine 1. high dose of ketamine 2. female gender 3. a history of personality disorder 4. adult 5. prior intravenous glycopyrolate